DPT is contraindicated in -
1. Family H/O. convulsion and neurological illness
2. Acute upper respiratory infection
3. Malnutrition
4. Evolving neurological illness

Correct answer: 4. Evolving neurological illness

Explanation: Ans. is 'd' i.e., Evolving neurological illness o Progressive neurological disease is a contraindication. o Family H/o convulsion or neurological illness is not a contraindication H/o convulsion after 1st dose of DPT vaccine is a contraindication.